Which one of the following is the shortest acting intravenous analgesic:
1. Remifantanil
2. Fentanyl
3. Alfentanil
4. Sufentanil

Correct answer: 1. Remifantanil

Explanation: A i.e. Remifentanil